Plasma expanders are used in:
1. Severe anemia
2. Severe trauma
3. Pulmonary oedema
4. Cardiac failure

Correct answer: 2. Severe trauma

Explanation: Essentials of medical pharmacology, seventh edition, page no 645 Answer is option 2,severe trauma Plasma expanders are used in burns, hypovoleimic and endotoxin shock, severe trauma, and extensive tissue damage. But they are not used in severe anemia, cardiac failure, pulmonary edema, liver disease, and renal insufficiency.